Sealant programme is done to:
1. All individuals in fluoridated and non fluoridated areas
2. Young and adolescent in non fluoridated areas
3. Only children in non fluoridated areas
4. It is not necessary in children living in fluoridated area

Correct answer: 1. All individuals in fluoridated and non fluoridated areas